Burkitt's Lymphoma is associated with:
1. t(8:14)
2. t (11:14)
3. t (15:17)
4. t (14:18)

Correct answer: 1. t(8:14)

Explanation: Burkitt lymphoma is strongly associated with translocations involving the MYC gene on chromosome 8 with the IgH gene on chromosome 14. Variant translocations involving the k or l light chain loci on chromosome 2 & 22 respectively are also seen. Ref: Robbin's Basic Pathology, 7th Edition, Page 428.